Post exposure measles vaccine must be given within ----- days of exposure
1. 1
2. 3
3. 7
4. 10

Correct answer: 2. 3

Explanation: Post-exposure Measles Vaccine must be given within : 3 days of exposure IP for naturally accuired Measles : 10 days IP for Vaccine induced Measles : 7 days Measles outbreak control Measures Isolation for 7 days after outbreak of rash Immunization of contacts within 2 days of exposure. Immunoglobulin administration within 3-4 days of exposure (if vaccine is contraindicated) Prompt immunization at begining of Epidemic Ref: Park 25th edition Pgno : 161